Drug of therapeutic benefit in Schizophrenia is
1. Lithium
2. Doxepin
3. Imipramine
4. Fluphenazine

Correct answer: 4. Fluphenazine

Explanation: D i.e. Fluphenazine